Alpha 1 blocker without any effect on blood pressure is?
1. Tamsulosin
2. Prazosin
3. Oxazocin
4. Terazocin

Correct answer: 1. Tamsulosin

Explanation: ANSWER: (A) TamsulosinREF: KDT 7th ed p. 135, Goodman Gillmans 11th ed p. 173Tamsulosin, a benzenesulfonamide, is an al receptor antagonist with some selectivity fora1A and a1D subtypes, favoring a1A blockade in prostate. Tamsulosin is efficacious in the treatment of BPH with little effect on blood pressure,